Amniocentesis in early pregnancy for genetic disorders is a kind of
1. Primordial prevention
2. Primary prevention
3. Secondary prevention
4. Tertiary prevention

Correct answer: 3. Secondary prevention

Explanation: As it is a diagnostic test, it comes under secondary prevention. It is a diagnostic test done in the 2nd trimester (only after completion of 12wks). it can detect many abnormalities like Down's, Neural tube defects Ref : Park's Textbook of Preventive and Social Medicine; 23rd edition - Pgno. 578